Branch that deals with medicinal drugs obtained from plants and other natural resources -
1. Pharmacognosy
2. Pharmacogenetics
3. Pharmacogenomics
4. Pharmacopia

Correct answer: 1. Pharmacognosy

Explanation: Ans. is 'a' i.e., Pharmacognosy Pharmacognosy : It is the branch the deals with the knowledge pertaining to the medicinal drugs obtained from plants and other natural sources. Pharmacogenetics : Study of genetic basis for variability in drug response Pharmacogenomics : Use of genetic information to guide the choice of drug and dose on an individual basis.